Main action of superior rectus -
1. Extorsion
2. Intorsion
3. Elevation
4. Depression

Correct answer: 3. Elevation

Explanation: Ans. is 'c' i.e., Elevation There are six extraocular muscles in each eye.MusclePrimary ActionSecondary ActionSuperior rectusElevationAdduction and intorsionInferior rectusDepressionAdduction and extorsionMedial rectusAdduction Lateral rectusAbduction Superior obliqueIntorsionAbduction and depressionInferior obliqueExtorsionAbduction and elevationo All the extra ocular muscles are supplied by the occulomotor nerve except for the superior oblique which is supplied by the trochlear nerve and the lateral rectus which is supplied by the abducens nerve.o The occulomotor nerve also supplies the levator palpebrae superioris, sphincter papillae and the ciliary muscle.